Depressed bridge of the nose may be due to any of the following except:
1. Leprosy
2. Syphilis
3. Septal abscess
4. Acromegaly

Correct answer: 4. Acromegaly

Explanation: (d) Acromegaly(Ref. Scott Brown, 6th ed., 4/8/29)Acromegaly occurring due to growth hormone secreting pituitary adenoma is characterised by enlargement of the nose.